Boxers fracture is fracture through -
1. 5th metacarpal base
2. 5th metacarpal neck
3. 5th metatarsal base
4. 5th metatarsal neck

Correct answer: 2. 5th metacarpal neck

Explanation: Ans. is 'b' i.e., 5th metacarpal neck * Boxers' fracture: It is a ventrally displaced fracture through the neck of the 5th metacarpal, usually occurs in boxers.